DDT is a:
1. Contact poison
2. Hemolytic poison
3. Muscle poison
4. Stomach poison

Correct answer: 1. Contact poison

Explanation: Ans. A i.e. Contact poison DDT/ dichlorodiphenyltrichloroethane It is an organochlorine insecticide which is a colorless, crystalline solid, tasteless and almost odorless chemical compound. The Swiss chemist Paul Hermann Muller was awarded the Nobel Prize in Physiology or Medicine in 1948 "for his discovery of the high efficiency of DDT as a contact poison against several arthropods."